False for pelvic congestion syndrome is
1. A recognized cause of chronic pelvic pain in women
2. Associated with lumbo-ovarian vein varices
3. Dyspareunia, when present, may be a poor prognostic indicator
4. Symptom are often worse after Menstruation

Correct answer: 4. Symptom are often worse after Menstruation

Explanation: Pelvic congestion syndrome is a recognized cause of chronic pelvic pain in women that has been associated with lumbo-ovarian vein varices.Dyspareunia, when present, may be a poor prognostic indicator. Symptoms are often worse with fatigue, before menstruation, and in the upright position.